Blood born spread is a feature of?
1. Carcinoma
2. Sarcoma
3. Dysplasia
4. Metaplasia

Correct answer: 2. Sarcoma

Explanation: Sarcoma REF: Robbins 7 ed page 270 "Hematogenous spread is typical of sarcomas and Lymphatic spread is typical of carcinomas" However the above is not a rule and there are sarcomas that spread through lymphatics. The sarcomas that spread through lymplatics are: Mnemonic: SAME CoLouR (CLR) S- Synovial cell sarcoma A- Angiosarcoma M- Malignant fibrous Histocytoma E- Epithelial sarcoma C- Clear cell sarcoma L- Lymphosarcoma R- Rhabdomyosarcoma